Meningococci differs from gonococci in that they
1. Are intracellular
2. Possess a capsule
3. Cause fermentation of glucose
4. Are oxidase positive

Correct answer: 2. Possess a capsule

Explanation: Meningococci are capsulated, unlike gonococci. Based on their capsular polysaccharide antigens, they are classified into at least 13 serogroups, of which A, B, C, X, Y and W-135 are most important. Reference: Textbook of Microbiology; Anathanarayan and panicker's; 10th edition; Page no: 230